In fibroid which is not seen:
1. Amenorrhea
2. Pelvic mass
3. Infertility
4. Menstrual irregularity

Correct answer: 1. Amenorrhea

Explanation: Ans. is a, i.e. AmenorrheaRef: Shaw 15th/ed p356-7; Jeffcoate 7th/ed p492-3Fibroids do not lead to amenorrhea, they lead to menorrhagia/metrorrhagia